Declaration of Oslo is related to which among the following:
1. Torture
2. Capital Punishment
3. Medical Termination of Pregnancy
4. Human experimentation

Correct answer: 3. Medical Termination of Pregnancy

Explanation: Ans. Medical Termination of Pregnancy